The femoral ring is bounded by the following structures except -
1. Femoral vein
2. Inguinal ligament
3. Femoral artery
4. Lacunar ligament

Correct answer: 3. Femoral artery

Explanation: Femoral canal (Femoral sheath)
                     -        Medial compartment

   Opening- Femoral ring
   Content- Lymph nodes of Cloquet/Rosenmuller, Lymphatics, fat, areolar tissue.

-        Intermedius compartment
 

   Content- femoral vein

 -        Lateral compartment

   Content- femoral artery, femoral branch of genitofemoral nerve

 
Femoral ring Formation
-        Anterior - Inguinal ligament
-        Medial - Lacunar ligament
-        Posterior - Pectineus with fascia
-        Lateral - septum separating it from femoral vein